Helium is used along with oxygen instead of plain oxygen because
1. It increases the absorption of oxygen
2. It decreases turbulence
3. It decreases the dead space
4. For analgesia

Correct answer: 2. It decreases turbulence

Explanation: Helium is used because it decreases the turbulence.